Which of the following is not a part of Becks triad?
1. Hopelessness
2. Worthlessness
3. Helplessness
4. Sleeplessness

Correct answer: 4. Sleeplessness

Explanation: Becks triad is the cognitive triad of depression